Maternal supine hypotension syndrome can be minimized by
1. Left-Hip elevation
2. Left-Uterine displacement
3. Regional anaesthesia
4. General anaesthesia

Correct answer: 2. Left-Uterine displacement

Explanation: Removal of aortocaval compression with left-uterine displacement in patients undergoing general or regional anaesthesia, can minimize maternal supine hypotension.